The characteristic finding in chronic myeloid leukemia is
1. Reduced score of alkaline phosphatase in granulocytes
2. Reduced score of acid phosphatase in granulocytes
3. Total lack of platelets
4. Total lack of neutrophils

Correct answer: 1. Reduced score of alkaline phosphatase in granulocytes